Repeat offence of stalking is
1. Cognizable & bailable
2. Non Cognizable & bailable
3. Cognizable & non bailable
4. Non Cognizable & non bailable

Correct answer: 3. Cognizable & non bailable

Explanation: Stalking : - involves following a woman or contacting such woman in spite of clear disinterest or monitors her through internet, e-mail or any other form of electronic communication. It is punishable under Sec. 354-D IPC with imprisonment for upto 3 years and fine (cognizable and bailable) and imprisonment upto 5 years and fine for subsequent offence (cognizable and non-bailable).